In surgical stress all hormone is increased except:
1. Adrenaline
2. ACTH
3. Epinephrine
4. Insulin

Correct answer: 4. Insulin

Explanation: D i.e. Insulin